Krebs cycle and Urea cycle are linked at
1. Ornithine
2. Fumarate
3. Oxaloacetate
4. Arginine

Correct answer: 2. Fumarate

Explanation: Reference: Harpers illustrated biochemistry 30th edition